Softening of uterine isthmus and lower segment in early pregnancy is known as:
1. Hegar's sign
2. Braxton Hick's sign
3. Goodell's sign
4. Osiander's sign

Correct answer: 1. Hegar's sign

Explanation: Ans. Hegar's sign